Pulsus paradoxus is not seen in:
1. Cardiac tamponade
2. Constrictive pericarditis
3. Hypertrophic cardiomyopathy
4. Severe COPD

Correct answer: 3. Hypertrophic cardiomyopathy

Explanation: Ans. C: Hypertrophic cardiomyopathy Pulsus paradoxus (PP), also paradoxic pulse or paradoxical pulse, is an exaggeration of the normal variation during the inspiratory phase of respiration, in which the blood pressure declines as one inhales and increases as one exhales. It is a sign that is indicative of several conditions including cardiac tamponade, pericarditis, chronic sleep apnea, croup, and obstructive lung disease (e.g. asthma, COPD)